Police officer has the power to summon a doctor to police station for recording a statement under
1. 160 Cr P C
2. 161 Cr P C
3. 162 Cr P C
4. 163 Cr P C

Correct answer: 1. 160 Cr P C

Explanation: S. 160, Cr.P.C. : Police officer has the power to summon any witness (doctor) to police station for recording a statement. S. 161, Cr.P.C.: The police has the power to examine witnesses. S. 162, Cr.P.C. : Oral statements made to the police and recorded by the police should not be signed.